All of the following hereditary conditions predispose to CNS tumors, except:
1. Neurofibromatosis 1 and 2
2. Tuberous sclerosis
3. Von - Hippel - landau syndrome
4. Xeroderma pigmentosum

Correct answer: 4. Xeroderma pigmentosum

Explanation: Xeroderma pigmentosum is not a risk factor for brain tumor. Genetic abnormalities associated with brain tumors (RL not in MTV GT) RetinoblastomaQ Li-FraumeniQ NF-1 & 2Q MEN 1Q Turcot's syndromeQ VHL syndromeQ Gorlin syndromeQ Tuberous sclerosisQ